DEXA scan of lumbar vertebra and femoral neck are assessed for bone mineral density in menopausal women because of all except
1. Lumbar vertebrae contain primarily trabecular bone.
2. Trabecular bone has faster re-modelling rate.
3. Early rapid bone loss can be determined by evaluation of this site with trabecular bone.
4. Lumbar vertebra is 80% compact bone.

Correct answer: 4. Lumbar vertebra is 80% compact bone.

Explanation: Lumbar vertebra is trabecular bone, being less dense and fast rate of remodelling, is assessed for measuring bone mineral density for Menopausal Osteoporosis.